A healthy adult runs a marathon in the summer and develops hot dry skin, cessation of sweating, lactic acidosis, hypocalcemia, and muscle necrosis (rhabdomyolysis). Which of the following is the appropriate diagnosis?
1. Dysautonomia
2. Heat stroke
3. Malignant hyperthermia
4. Myotonic dystrophy

Correct answer: 2. Heat stroke

Explanation: Exertional heat stroke occurs in healthy men during unusually vigorous exercise, particularly when the ambient temperature is high. Lactic acidosis, hypocalcemia, and rhabdomyolysis may be severe problems. Myoglobinuric acute renal failure is not uncommon. Malignant hyperthermia (choice C) occurs in surgical patients after anesthesia.Diagnosis: Heat stroke